A patient resident of Himachal Pradesh presented with a series of ulcers in a row, on his right leg. The biopsy from affected area is taken and cultured on sabauraud's dextrose agar. What would be the most likely etiological agent?
1. Sporothrix schenckii
2. Cladosporium sp
3. Pseudo allescheria boydii
4. Nocardia brasiliensis

Correct answer: 1. Sporothrix schenckii

Explanation: Ans. (a) Sporothrix schenckii Already explained